When two objects come in contact with each other, transfer of material takes place in accordance with -
1. Mc Naughten rule
2. Locard Exchange principle
3. Rule of Haase
4. Locard's method

Correct answer: 2. Locard Exchange principle